Cardinal movements of labour in order
1. Engagement--Descent--Flexion--Internal Rotation--Extension--Restitution--External Rotation--Expulsion
2. Engagement--Descent--Flexion--Internal Rotation--Restitution--Extension--External Rotation--Expulsion
3. Engagement--Descent--Flexion--Internal Rotation--Extension--External Rotation--Restitution--Expulsion
4. Engagement--Descent--Flexion--Restitution--Internal Rotation--Extension--External Rotation--Expulsion

Correct answer: 1. Engagement--Descent--Flexion--Internal Rotation--Extension--Restitution--External Rotation--Expulsion

Explanation: The cardinal movements of labour are engagement, descent, flexion, internal rotation, extension, restitution, external rotation and expulsion Reference: William's Obstetrics; 24th edition; Chapter 22; Normal labour